Antiarrhythmic drug is:
1. Phentolamine
2. Phenobarbitone
3. Procainamide
4. Pentamidine

Correct answer: 3. Procainamide